Pedigree Chart -
1. Used for growth monitoring.
2. To assess side effect during chemotherapy
3. Used to see genetic transmission.
4. To assess developmental delay in infant

Correct answer: 3. Used to see genetic transmission.

Explanation: Ans. is 'c' i.e., Used to see genetic transmission Pedigreeo Provide graphic depiction of a family structure medical history'.o Person providing information is formed as pro band,o Special symbol is used for each designation,o Three generation pedigree should be made.o Closer the relationship of proband to the person, greater is change of shared genetic component.